A patient is having carcinoma larynx. The most likely other area having a second primary (synchronous second primary) is:
1. Cancer base of tongue
2. Cancer oesophagus
3. Carcinoma bronchus
4. Carcinoma nasopharynx

Correct answer: 3. Carcinoma bronchus

Explanation: Cancer lung is commonly associated with laryngeal cancer. However, any other area of aerodigestive tract may show synchronous second primary.